High water content is seen in which zone of articular cartilage
1. Zone 1
2. Zone 2
3. Zone 3
4. Zone 4

Correct answer: 1. Zone 1